Intracellular accumulation of which of the following forms Russell bodies ?
1. Immunoglobulins
2. Cholesterol
3. Phospholipids
4. Lipoproteins

Correct answer: 1. Immunoglobulins

Explanation: Intracellular accumulation of immunoglobulins that can occur in plasma cells or RER forms large rounded , eosinophilic Russell bodies. Multiple aggregates of Russell bodies forms Mott cells. Dutcher bodies- single and usually large pale staining nuclear inclusions that are common in IgA myeloma.